Infant Eye is
1. Myopic
2. Astigmatism
3. Hypermetropic
4. None

Correct answer: 3. Hypermetropic

Explanation: C i.e. Hypermetropic